Material used in vertebroplasty:
1. Polymethyl methacrylate
2. IsoMethyl Methacry]ate
3. Isoethyl Methacrylayte
4. Silicon

Correct answer: 1. Polymethyl methacrylate

Explanation: Ans. Polymethyl methacrylate